DALY is -
1. Disease - Adjusted Life year
2. Disability Adjusted Life year
3. Disease Associated Life year
4. Disability Associated Life year

Correct answer: 2. Disability Adjusted Life year

Explanation: Ans. is 'b' i.e., Disability Adjusted Life year